Characteristic symptoms of catatonic schizophrenia is
1. Stuptor
2. Rigidity
3. Negativism
4. All of the above

Correct answer: 4. All of the above

Explanation: D i.e. All of the above